Which is not a barrier method of contraception -
1. Condom
2. Suppositories
3. Diaphragm
4. IUD

Correct answer: 4. IUD

Explanation: Ans. is 'd' i.e., IUD Barrier methodso A variety of barrier or occlusive methods, suitable for both men and women are available.o The aim of these methods is to prevent live sperm from meeting the ovum,o Barrier methods are less effective than either the pills or IUD.o Various barrier methods areA) Physical methodsy Condomy Female condomy Diaphragmy Vaginal spongeB) Chemical methodsy Foamsy Creams, jellies, pastery Suppositoriesy Soluble films- C -films